Which of the following is not a Synthetic Pyrethyroid Compound?
1. DDT
2. Permethrin
3. Propahrin
4. Cypermethrin

Correct answer: 1. DDT

Explanation: DDT is not a synthetic Pyrethroid compound while the other three (Propahrin, Cypermethrin and Permthrin) are synthetic pyrethroid compounds Ref: Goldfrank's Toxicological Emergencies, 8th Edition, Page 1529; Park's Textbook of Preventive and Social Medicine, 19th Edition, Pages 637-639.